Bone, which usually does not have a medullary cavity:
1. Fibula
2. Clavicle
3. Humerus
4. Ulna

Correct answer: 2. Clavicle

Explanation: Clavicle is generally said to have no medullary cavity, but this is not always true Peculiarities of Clavicle:It has no medullary cavityIt is the first bone to ossify in the fetus (5th-6th week)It is the only long bone having 2 primary centers of ossification (others have only 1)It is the only long bone that ossifies in membrane and not in cailageIt is the only long bone lying horizontallyIt is the most common fractured long bone in the bodyIt is subcutaneous throughout